The circumferential clasp when used with tooth supported partial dentures:
1. Is usually the most logical clasp to use
2. Has good retentive and stabilizing ability
3. Both
4. None

Correct answer: 3. Both

Explanation: The circumferential clasp is usually the most logical clasp to use with all tooth-supported partial dentures, because of its retentive and stabilizing ability. 
Only when the retentive undercut may be approached better with a bar clasp arm or when esthetics will be enhanced, should the latter be used.